Which of the following is inappropriate indication for concomitant chemotherapy in case of head and neck cancer?
1. Primary treatment for patient with unresectable disease
2. As an organ safeguarding method of t/t
3. Postoperative case of intermediate stage resectable tumour
4. Metastatic advanced head and neck cancer

Correct answer: 4. Metastatic advanced head and neck cancer

Explanation: (d) Metastatic advanced head and neck cancer(Ref. Cummings, 6th ed., 1620)Concomitant chemotherapy or Concurrent chemoradiotherapy/chemoradiation maximizes tumour control while maintaining function and quality of life by organ-conservation (e.g. ca larynx), because of which this treatment modality has overtaken surgery as the primary local treatment option for most head and neck cancers.It is also the primary mode of treatment for tumours which cannot be treated surgically because of lack of free margins, e.g. nasopharyngeal carcinoma, etc.In addition, for those patients whose head and neck cancers are managed with primary surgical resection, patients at high risk of loco regional recurrence (positive margins or extracapsular nodal extension) are often treated with concurrent chemoradiotherapy, for enhancement of loco regional control.In metastasis the treatment is palliative radiotherapy.